Which of the following clinical conditions is not an indication for induction of labor?
1. Intrauterine fetal demise
2. Severe preeclampsia at 36 weeks
3. Complete placenta previa
4. Chorioamnionitis

Correct answer: 3. Complete placenta previa

Explanation: (Cunningham, 21/e, p 470.) Placenta previa is a contraindication to labor because the placenta is ahead of the presenting part covering the cervix and vaginal delivery would result in hemorrhage. Intrauterine fetal demise, preeclampsia, chorioamnionitis, are all indications to induce labor.